All of the following conditions are associated with hypokalemia, except
1. Adrenal tumor
2. Thiazide
3. Diarrhoea
4. ARF

Correct answer: 4. ARF

Explanation: Metabolic disturbances associated with acute renal failure are hyperkalemia, hyperphosphatemia and hypocalcemia. Adrenal tumor, thiazide and diarrhoea are associated with hypokalemia. Reference: Harrison's principles of Internal Medicine 18th edition chapter 279.